Normal serum calcium level is
1. 5 to 7 mg%
2. 7 to 9 mg%
3. 9 to 11 mg%
4. 11 to 13 mg%

Correct answer: 3. 9 to 11 mg%